'Hurthle cells' are seen in -
1. Agranulomatous Thyroiditis
2. Hashimoto's Thyroiditis
3. Papillary carcinoma of the thyroid
4. Thyroglossal cyst

Correct answer: 2. Hashimoto's Thyroiditis

Explanation: Ans. is 'b' i.e., Hashimoto's Thyroiditis